True about montelukast is:
1. It inhibit lipooxygenase pathway
2. It decreases the frequency of asthma attacks as com pared to glucocorticoids
3. It blocks LT receptor
4. It is effective in acute bronchial asthma

Correct answer: 3. It blocks LT receptor

Explanation: 2 LT1 receptor antagonists is montelukast and zafir lukast, they competitively antagonize LT1 receptor zileuton- inhibits the synthesis of Leukotrienes ESSENTIALS OF MEDICAL PHARMACOLOGY SEVENTH EDITION KD TRIPATHI PG NO .228